Spontaneous subconjuctival haemorrhage is
1. Benign condition
2. Malignant condition
3. Medical emergency
4. None of the above

Correct answer: 1. Benign condition

Explanation: Benign condition